Freiberg's disease is a recognised osteochondritis which affects which of the following?
1. Head of 2nd and 3rd Metatarsal
2. Lunate bone
3. Hip
4. Navicular bone

Correct answer: 1. Head of 2nd and 3rd Metatarsal

Explanation: Names of some osteochondritis and the affected area is given below: Frieberg's disease - Head of 2nd and 3rd metatarsal Perthes disease - Hip Kienbock disease - Lunate bone Kohler's disease - Navicular bone Ref: Oxford Handbook of Clinical Specialities, 8th Edition, Page 702.